Which of the following are inactive during normal respiration -
1. Pre-Botzinger complex
2. Dorsal group of neurons
3. Ventral VRG group of neurons
4. Pneumotaxic centre

Correct answer: 3. Ventral VRG group of neurons

Explanation: Ans. (c) Ventral VRG group of neurons(Ref: Ganong, 25th ed/p.655)At rest, expiration is a passive processVentral VRG group of neurons controls expiration. So, they are inactive during normal respiration